The definition of Epidemiology as The study of the distribution and determinants of disease frequency in man was given by
1. John M. Last
2. Winslow
3. MacMahon
4. Frost

Correct answer: 3. MacMahon